The classic triad of congenital Rubella includes all except:
1. Cataract
2. Deafness
3. Retinal detachment
4. CHD

Correct answer: 3. Retinal detachment

Explanation: The classic triad of congenital Rubella does not include Retinal detachment. Rubella virus infection during pregnancy: Virus can cross the placental barrier and infect the fetus. Infection leads to angiopathy with placental and fetal vasculitis, which compromises fetal growth. The classic triad of congenital Rubella includes - Deafness Cataract Congenital heart disease (PDA and PS) Other manifestations - Microcephaly Glaucoma Myopia Retinopathy Inguinal hernia Cryptorchidism Thrombotic thrombocytopenic purpura Hepatosplenomegaly